Laryngocele arises as herniation of laryngeal mucosa through the following membrane:
1. Thyrohyoid
2. Cricothyroid
3. Cricotracheal
4. Crisosternal

Correct answer: 1. Thyrohyoid

Explanation: Laryngocele is an air-filled cystic swelling which occurs due to dilatation of saccule. Saccule is a diverticulum arising from anterior part of ventricle/sinus of larynx. External laryngocele is one in which distended saccule herniates through the thyrohyoid membrane and presents as a reducible swelling in the neck, which increases in size on coughing or performing Valsalva.